Function of floccunodular lobe of cerebellum is:
1. Co-ordination of movements
2. Equilibrium
3. Chemoreception
4. Planning of movements

Correct answer: 2. Equilibrium

Explanation: Ans. B: EquilibriumFrom a functional point of view, the cerebellum is divided into three parts:The nodulus in the vermis and the flanking flocculus in the hemisphere on each side form the flocculonodular lobe, or vestibulocerebellum. This lobe, which is phylogenetically the oldest part of the cerebellum, has vestibular connections and is concerned with equilibrium.The rest of the vermis and the adjacent medial portions of the hemispheres form the spinocerebellum, the region that receives proprioceptive input from the body as well as a copy of the "motor plan" from the motor cortex. By comparing plan with performance, it smoothes and coordinates movements that are ongoing. The vermis projects to the brainstem area concerned with control of axial and proximal limb muscles, whereas the hemispheres project the brainstem areas concerned with control of distal limb muscles.The lateral portions of the cerebellar hemispheres are called the cerebrocerebellum, or neocerebellum. They are the newest from a phylogenetic point of view, reaching their greatest development in humans. They interact with the motor cortex in planning and programming movements.